In a premature baby with convulsion after 2 days of birth, first investigation to be done is:
1. Transcranial USG
2. MRI
3. Skull radiography
4. CT skull

Correct answer: 1. Transcranial USG

Explanation: a. Transcranial USG(Ref: Nelson's 20/e p 2831-2856, Ghai 8/e p 557-561)Intracranial hemorrhage can be a common cause for seizures in a preterm neonate, which can be picked up easily on a transcranial USG through the open anterior fontanelle.